Which among the following may be used as a sedatives-hypnotic?
1. Zolmitriptan
2. Zileuton
3. Zolpidem
4. Zalcitabine

Correct answer: 3. Zolpidem

Explanation: Zolpidem​
The hypnotic zolpidem is not structurally related to benzodiazepines, but it selectively binds to the benzodiazepine receptor subtype BZ1. Zolpidem has no anticonvulsant or muscle-relaxing properties. ​
It shows few withdrawal effects, exhibits minimal rebound insomnia, and little tolerance occurs with prolonged use. Zolpidem is rapidly absorbed from the gastrointestinal (GI) tract, and it has a rapid onset of action and short elimination half-life (about 2 to 3 hours). It provides a hypnotic effect for approximately 5 hours.​
​Zolmitriptan is one of the drugs used to treat migraine headache. ​​​
Zileuton is a selective and specific inhibitor of 5-lipoxygenase, preventing the formation of both LTB4​  and the cysteinyl leukotrienes. These drugs are useful for treatment of asthma in patients who are poorly ​controlled by conventional therapy.​
Key Concept: ​
Zolpidem (AMBIEN, others) is a non-benzodiazepine sedative-hypnotic drug. ​
Reference: Lippincott Illustrated Reviews: Pharmacology Wolters Kluwer Sixth Edition page no 129, 465,385;​ Goodman and Gillman, the Pharmacological basis of Therapeutics 12 ed page no 467​